Treatment in 6 month old child with acute watery diarrhoea without signs of dehydration is ?
1. Mothers milk and household fluids
2. ORS and antibiotics
3. Mothers milk and antibiotics
4. All

Correct answer: 1. Mothers milk and household fluids

Explanation: Ans. is 'a' i.e., Mothers milk and household fluids Treatment plan to prevent dehydration - Plan A The mother should be educated to use increased amount of culturally appropriate home available fluids. In addition, they should be given ORS packets for use at home. Breast feeding should not be discontinued.